Drug used in hepatitis B infection is
1. Entecavir
2. Astacavir
3. Zanamivir
4. Abacavir

Correct answer: 1. Entecavir

Explanation: Ans. is 'a' i.e., Entecavir Treatment of acute hepatitis Hepatitis B - No treatment is required. Hepatitis C - Pegylated Interferon (PEG - IFN). Treatment of chronic hepatitis Hepatitis B - Lamivudin, entecavir (preferred) or interferon. Hepatitis C - Pegylated Interferon (PEG - IFN), entecavir plus ribavirin.